Snow banking is typically seen in-
1. Pars planitis
2. Endophthalmitis
3. Coat's disease
4. Eale's disease

Correct answer: 1. Pars planitis

Explanation: Snow banking,ie.,grey white fibrovascular plaque over the pars plana with or without assosiated peripheral retinal periphlebitis form the hallmark of intermediate uveitis(pars planitis). these are best seen with indirect ophthalmoscopy and Goldman three mirror examination.